Which of the following agents are useful in medical treatment variceal bleeding?
1. Octreotide
2. Pantoprazole
3. Somatotropin
4. Dexamethasone

Correct answer: 1. Octreotide

Explanation: Management if variceal bleeding: A.prevention of re bleeding Non selective beta blockers Variceal band ligation B.Management of acute bleed Stabilize with fluids and blood Octreotide Vasopressin Balloon tamponade: 1.sengstaken-blackmore 2.minnesota tube Varriceal ligation Variceal sclerotherapy.( ref Harrison principals of medicine 17/e p1977)